To prevent excessive bleeding during surgery a patient
with hemophilia A may be given:
1. Whole blood
2. Fresh frozen plasma
3. Factor VIII concentrate
4. Factor IX concentrate

Correct answer: 3. Factor VIII concentrate